Cerebrosides contain which of the following?
1. Phytol
2. Glycerol
3. Galactitol
4. Sphinogosine

Correct answer: 4. Sphinogosine

Explanation: Sphingolipids: They comprise another group of lipids found in biological membranes especially in the tissues of nervous system. There are three types of sphingolipids sphingomyelin, cerebrosides and gangliosides. About 6 percent of the membrane lipids of grey matter cells in the brain are gangliosides.Ref: Textbook of Medical Biochemistry Eighth Edition Dr (Brig) MN Chatterjea, page no:11